Which of the following stressors most often leads to psychological impairment that could be diagnosed as an adjustment disorder?
1. Rape
2. Plane accident
3. Loss of job
4. All of the above

Correct answer: 3. Loss of job

Explanation: Ans. C. Loss of a jobBy definition, an adjustment disorder is precipitated by one or more stressors. The severity of the stressor or stressors does not always predict the severity of the disorder; the stressor severity is a complex function of degree, quantity, duration, reversibility, environment, and personal context. Stressors may be single, such as a divorce or the loss of a job, or multiple, such as the death of a person important to a patient, which coincides with the patient's own physical illness and loss of a job.Specific developmental stages, such as beginning school, leaving home, getting married, becoming a parent, failing to achieve occupational goals, having the last child leave home, and retiring, are often associated with adjustment disorders.